All the following features are true about umbilical cord except
1. 50cm long
2. Two veins and One artery
3. Two arteries and One vein
4. Contains Wharton's jelly

Correct answer: 2. Two veins and One artery

Explanation: At birth umbilical cord is approximately 1 to 2cm in diameter and 50 to 60 cm long.Umbilical vessels are surrounded by Wharton's jelly. This tissue, which is rich in proteoglycans, functions as a protective layer for the blood vesselsThe cord at term normally has two arteries and one vein. The right umbilical vein usually disappears early during fetal development, leaving only the original left vein.The intraabdominal portion of the duct of the umbilical vesicle, which extends from umbilicus to intestine, usually atrophies and disappears, but occasionally it remains patent, forming the Meckel diverticulum.The most common vascular anomaly is the absence of one umbilical artery, which may be associated with fetal anomaliesReference:Williams obstetrics;24th edition;ImplantationandPlacentaldevelopment; Page no:100